In Meckel's diverticulum, ectopic gastric tissue is diagnosed by:
1. Radionucleotide scan
2. Endoscopy
3. Ultrasound
4. RBC tagged scanning

Correct answer: 1. Radionucleotide scan